Hemlichs maneuver is used for -
1. Upper airway obstruction by foreign body
2. BPPV
3. Eustachian tube patency test
4. Tympanic membrane integrity test

Correct answer: 1. Upper airway obstruction by foreign body

Explanation: Ans. is 'a' i.e.. Upper airway obstruction by foreign body Heimlich manoeuvreo Abdominal thrusts, also called the Heimlich manoeuvre or Heimlich maneuver, is a first aid procedure used to treat upper airway obstructions (or choking) by foreign objects. The term Heimlich maneuver is named after Dr. Henry Heimlich, who first described it in 1974.